In starvation activities of all of the following enzyme is increased except ?
1. Pyruvate carboxylase
2. Pyruvate kinase
3. PEP carboxykinase
4. Glucose 6 phosphatase

Correct answer: 2. Pyruvate kinase

Explanation: In starvation activity of all enzymes responsible for gluconeogenesis are increased.
Pyruvate kinase is the enzyme of glycolysis. Activity of enzymes of glycolysis are suppressed in starvation. So pyruvate kinase activity is suppressed in starvation.
All other enzymes given in this question are gluconeogenic
enzyme whose activity is enhanced in starvation.